Mobility of teeth is measured using:
1. Periodontometer
2. Periotron
3. Spechtometer
4. Densitometer

Correct answer: 1. Periodontometer